Treatment of adenomyosis :
1. Estrogens
2. Estrogens and progesterones
3. Total hysterectomy
4. Laser

Correct answer: 3. Total hysterectomy

Explanation: Total hysterectomy